A 58-year-old woman is seen for evaluation of a swelling in her right vulva. She has also noted pain in this area when walking and during coitus. At the time of pelvic examination, a mildly tender, fluctuant mass is noted just outside the introitus in the right vulva in the region of the Bartholin's gland. What is the most appropriate treatment?
1. Marsupialization
2. Administration of antibiotics
3. Surgical excision
4. Incision and drainage

Correct answer: 3. Surgical excision

Explanation: Although rare, adenocarcinoma of the Bartholin's gland must be excluded in women over 40 years of age who present with a cystic or solid mass in this area. The appropriate treatment in these cases is surgical excision of the Bartholin's gland to allow for a careful pathologic examination. In cases of abscess formation, both marsupialization of the sac and incision with drainage as well as appropriate antibiotics are accepted modes of therapy. In the case of the asymptomatic Bartholin's cyst, no treatment is necessary.